Chemoprophylaxis can be done for all of the following infections, except:
1. Typhoid
2. Cholera
3. Meningitis
4. Diphtheria

Correct answer: 1. Typhoid

Explanation: Typhoid can be prevented by immunization not with chemoprophylaxis. But immunization does not give 100 per cent protection from Typhoid. Cholera, meningitis and diphtheria can be prevented using chemoprophylaxis. Ref: Park's Textbook of Preventive and Social Medicine, 19th Edition, Pages 106, 197